Filgrastim is used for the treatment of
1. Neutropenia
2. Anemia
3. Polycythemia
4. Neutrophilia

Correct answer: 1. Neutropenia

Explanation: Refer Katzung 11/e p 580-581 Filgrstim (G-CSF) and sargramostim(GM-CSF) are used to prevent or treat chemotherapy induced neutropenia Erythropoietin is used to treat anemia assosciated with chronic renal failure and cancer chemotherapy